Bare orbit is/are seen in -
1. Metastasis
2. Pseudotumor cerebri
3. Optic nerve glioma
4. Osteomyelitis

Correct answer: 1. Metastasis

Explanation: Bare orbit sign : Refers to the appearance of the orbit on a frontal radiograph of the skull and is so called because of the absence of the innominate line, which is the projection of the greater wing of the sphenoid bone. In addition to the absence of the innominate line, there is egg-shaped enlargement of the anterior orbital rim, a bony defect in the posterior orbit, and anteroposterior enlargement of the middle cranial fossa. This sign is seen in sphenoid wing dysplasia in neurofibromatosis type 1 (NF1). Also seen in neuroblastoma metastasis